A patient has subclinical folate deficiency. All of the following drugs can precipitate megaloblastic anemia in this patient except
1. Alcohol
2. Phenytoin
3. chloroquine
4. Sulfasalzine

Correct answer: 3. chloroquine

Explanation: Chloroquine doesnot produce megaloblastic anemia. Whereas all the other three drugs can precipitate megaloblastic anemia. From medical pharmacology padmaja 4th edition Page no 224,399,217,478